True about sickle anemia is -
1. Leucopenia
2. Decreased ESR
3. Microcardia
4. Ringed sideroblast

Correct answer: 2. Decreased ESR

Explanation: Answer- B. Decreased ESRInvestigations in sickle cell anemia-Peripheral smear shows sickle cells, target cell and Howell - Jolly bodies.ESR is decreasedPositive sickling testHb electrophoresis shows two bands in heterozygous state/sickle cell trait.Bone changes on X-ray show:-A. Fish mouth vertebraeB. Crew hair cut (hair on end) appearance of skull.('Hair on end appearance' is also seen in thalassemia, hereditaty spherocytosis and G6PD deficiency.)Gamma Gandy bodies